The median of values 2,5,7,10,10,13,25 :
1. 10
2. 13
3. 25
4. 5

Correct answer: 1. 10

Explanation: Ans. is 'a' i.e. 10 Median is calculated by arranging the data in an ascending or descending order of magnitude and then the value of the middle observation is located.